Orally used drug for Glaucoma is?
1. Acetazolamide
2. Brimonidine
3. Latanoprost
4. Betaxolol

Correct answer: 1. Acetazolamide

Explanation: ANSWER: (A) AcetazolamideREF: Kanski 5th ed p. 227ACETAZOLAMIDE:Acetazolamide is available in the following forms:Tablets 250 mg: The dose is 250-1000 mg daily in divided doses with onset of action within 1 hour, a peak at 4 hours and duration up to 12 hours.Sustained-release capsules 250 mg used 250-500 mg daily with duration of up to 24 hours.Powder 500 mg vials for injection: The onset of action is almost immediate, with a peak at 30 minutes and duration up to 4 hours. This is the only CAI preparation available for injection and is useful in acute angle-closure glaucomaOther drugs available in the oral form are:Dichlorphenamide (50 mg tablets)Methazolamide (50 mg tablets)Glycerol (oral solution pungent sweet, to be consumed with lemon juice to decrease nausea), Can be given to well controlled diabetics. Converted to glucose in the body.Isosorbide (minty taste) Metabolically inert hence can be given to diabetics without insulin cover